Thomas splint most troubling is:
1. Ring
2. Side bars
3. Gauze support
4. Traction attachment

Correct answer: 1. Ring

Explanation: (a) Ringbecause it impinges against proximal thigh.